Chronic active hepatitis is distinguished from chronic persistent hepatitis by -
1. Characteristic liver pathology
2. HBS Ag in serum
3. Extrahepatic manifestations
4. Presence of anti smooth muscle antibody

Correct answer: 1. Characteristic liver pathology